Mechanism of analgesia is bya) Nociceptin stimulationb) Nocistatin stimulationc) Anandamide receptorsd) Nicotinic & cholinergic receptors
1. abc
2. acd
3. abd
4. bcd

Correct answer: 4. bcd

Explanation: Nocistatin stimuli inhibit nociceptors and produce analgesia.
Anandamide (a cannabinoid) produces analgesic effect by binding to CB1 receptors.
Acetylcholine and nicotinic cholinergic receptors (subunits α4 and β 2) are involved in regulation of pain.